A 50 yr old male presents with obstructive symptoms. Biopsy of stomach reveals Gastrointestinal stromal tumor (GIST). Which is the most appropriate marker for GIST?
1. CD 34
2. CD 117
3. CD 30
4. CD 10

Correct answer: 2. CD 117

Explanation: Expression of the c-Kit gene protein product CD117 is the most appropriate marker for GIST. c-Kit is a transmembrane glycoprotein receptor with an internal tyrosine kinase component that, when activated, triggers a cascade of intracellular signals regulating cell growth and survival. Kit mutation site has emerged as a prognostic factor of progression-free and overall survival in patients with GIST. GIST also express the hematopoietic progenitor cell marker CD34.